Principal Actions of prostacyclin in Inflammation is
1. Vasodilation
2. Vasoconstriction
3. Increased vascular permeability
4. Chemotaxis, leukocyte adhesion

Correct answer: 1. Vasodilation

Explanation: Principal Actions of Arachidonic Acid Metabolites in InflammationActionEicosanoidVasodilationProstaglandins PGI2 (prostacyclin), PGE1, PGE2, PGD2VasoconstrictionThromboxane A2, leukotrienes C4, D4, E4Increased vascular permeabilityLeukotrienes C4, D4, E4Chemotaxis, leukocyte adhesionLeukotrienes B4, HETERef: Robbins and Cotran Pathologic Basis of Disease; 9th edition; Chapter 3; Inflammation and Repair; Page no: 84; Table 3-5